Which of the following has immune function in the oral mucous membrane
1. Melanocyte
2. Merkel cell.
3. Langerhan cell.
4. Keratinocyte

Correct answer: 3. Langerhan cell.